Which of the following statement is not true regarding dapsone?
1. It acts by inhibiting folic acid synthesis
2. Poor oral absorption
3. It can cause DDS syndrome
4. Can cause hemolysis

Correct answer: 2. Poor oral absorption

Explanation: Ans. B. Poor oral absorptionDapsone has good oral absorption and it has a long half-life, averaging 28 hours.Dapsone :* Mechanism of Action: Inhibition of folic acid synthesis* It is weakly bactericidal.* It can cause mild hemolysis in the given doses, rarely anemia or psychosis.DDS syndrome:* It is rarely seen as a side effect of dapsone therapy in leprosy patients.* It starts after 5-6 weeks of starting dapsone and leads to exfoliative dermatitis, hepatosplenomegaly, Lymphadenopathy, fever, and hepatitis and may be fatal.* Dapsone (DDS) syndrome is also called the "five-week dermatitis" because it suddenly occurs five to six weeks after the administration of dapsone.